Pudendal nerve is related to:
1. Ischial spine
2. Sacral promontory
3. Iliac crest
4. Ischial tuberosity

Correct answer: 1. Ischial spine

Explanation: Branches of the sacral plexus, the pudendal nerve, and nerve to the obturator internus leave the pelvis through the lower part of the greater sciatic foramen, below the piriformis.They cross the ischial spine with the internal pudendal artery and immediately re-enter the pelvis through the lesser sciatic foramen; they then lie in the ischiorectal fossa.The pudendal nerve supplies structures in the perineum.The nerve to the obturator internus supplies the obturator internus muscle on its pelvic surface.